Which of the following is true about Non-specific interstitial pneumonia?
1. Early appearance of honey combing on CT
2. Males are affected more commonly than female
3. Common in elderly age group
4. Associated with good prognosis

Correct answer: 4. Associated with good prognosis

Explanation: Ans. d. Associated with good prognosis Non-specific interstitial pneumonia is associated with good prognosis. `Nonspecific interstitial pneumonia (NSIP) patients have diffuse interstitial lung disease of unknown etiology whose lung biopsies fail to show diagnostic features of any of the other well-characterized interstitial diseases. It is important to recognize it, since these patients have a much better prognosis than do those with Usual Interstitial Pneumonia Nonspecific Interstitial Pneumonia Nonspecific interstitial pneumonia (NSIP) patients have diffuse interstitial lung disease of unknown etiology whose lung biopsies fail to show diagnostic features of any of the other well-characterized interstitial diseases. It is important to recognize it, since these patients have a much better prognosis than do those with Usual Interstitial Pneumonia (UIP) Nonspecific Interstitial Pneumonia Morphology Cellular pattern Fibrosing pattern Consists of mild to moderate chronic interstitial inflammation, containing lymphocytes and a few plasma cells with uniform or patchy distribution Consists of diffuse or patchy, interstitialfibrosis without the temporal heterogeneity that is characteristic of UIP. Clinical Features: Patients present with dyspnea and cough of several months duration. They are typically between 46 and 55 years of age, those having the NSIP cellular pattern being somewhat younger than those with fibrosing pattern or UIP. Patients with cellular pattern have a better outcome than do those with fibrosing pattern and UIP.